Which muscle relaxant has Maximum duration of action?
1. Atracurium
2. Vecuronium
3. Rocuronium
4. Doxacurium

Correct answer: 4. Doxacurium

Explanation: Ans. is 'd' i.e., Doxacurium